The enzyme defect in galactosemia is
1. Aldose reductase
2. Galactose-1-phosphate uridyltransferase
3. Galactokinase
4. Aldolase B

Correct answer: 2. Galactose-1-phosphate uridyltransferase

Explanation: Inability to metabolize galactose occurs in the galactosemias, which may be caused by inherited defects of galactokinase, uridyl transferase, or 4-epimerase Though deficiency of uridyl transferase is best known.Harper 30th edition pg: 205